Which of the following antenatal complications may cause placentomegaly?
1. Hypertension
2. Diabetes
3. Abruption
4. HIV

Correct answer: 2. Diabetes

Explanation: Placentomegaly- Causes Maternal causes: Diabetes Anemia and malnutrition Infections: TORCH , CMV, Parvo virus, syphilis. Fetal causes Hydrops fetalis: Rh incompatibility, ABO incompatibility, fetal cardiac failure Chronic intrauterine infections Umbilical vein obstruction H mole TTTS Placental causes Placental tumours: chorangioma